The most common translocation seen in patients with Multiple Myeloma is
1. t(11;14)
2. t(4;14)
3. t(14;16)
4. t(14;20)

Correct answer: 1. t(11;14)

Explanation: Answer is A (t(11;14)) The most common translocation seen in patients with Multiple Myeloma is 01;14). `The most common translocation seen in patients with Multiple Myeloma is t(11;14)(q13;q32) involving the BCL1 locus on chromosome 11g13 and the immunoglobulin heavy (IgH) chain locus on chromosome 14q13 which leads to overexpression of Cyclin D1 '- The Washington Manual of Surgical Pathology `The two most common translocation seen in patients with Multiple Myeloma are t(11;14)and t(4; 14). Both these translocations occur with almost similar frequencies, however the incidence of translocation 1(11; 14) appears to be marginally higher. Patients with t(4; 14) fall within a poor prognosis subgroup, while those with 1(11; 14) have a standard risk' - The Principles of Clinical Cytogenetics The two most common translocation seen in patients with Multiple Myeloma t(11;14)(q13;q32) : Associated with standard prognosis t(4;14) (p16;q32) : Associated with aggressive behaviour and poor prognosis The most common translocation in multiple myeloma associated with a poor prognosis is translocation t(4;14)